If suture marks are to be avoided, sutures of face should be removed by:
1. 72 hours
2. 3-5 days
3. 1 week
4. 2 weeks

Correct answer: 2. 3-5 days

Explanation: Ans. B i.e. 3-5 days